What will you give to stop chyluria in diet?
1. Small chain fatty acid
2. Medium chain fatty acid
3. Long chain fatty acid
4. Omega 3 unsaturated fatty acid

Correct answer: 2. Medium chain fatty acid

Explanation: Medium chain Fa

Medium chain fatty acids enter the portal vein on absorption, bypassing the lymphatics. Hence, they are used in chyluria (excretion of lymph in urine).